Pediatric burns patient during resuscitation the minimum urine output that is required is-
1. 1 ml/kg/hr.
2. 3 ml/kg/hr.
3. 2 ml/kg/hr.
4. 4 ml/kg/hr.

Correct answer: 1. 1 ml/kg/hr.

Explanation: Ans. is 'a' i.e., 1 ml/kg/hr o Goals for urine output should be 30 ml/hr for adults and 1 to 1.5 ml/kg/w in pediatric patients.